Acne vulgaris invloves-
1. Pilosebaceous gland
2. Sebaceous gland
3. Eccrine gland
4. Apocrine gland

Correct answer: 1. Pilosebaceous gland

Explanation: Acne vulgaris is s disorder of pilosebaceous gland which predominantly affects the peripubeal population and clinically manifest as comedones, papules, nodules, pustules,and cysts and heals with scar. Ref Harrison20th edition pg 1234